Mechanism of action of Memantine includes
1. GABA nergic action
2. Glutaminergic action
3. Adrenergic action
4. Dopaminergic act on

Correct answer: 2. Glutaminergic action

Explanation: (B) Glutaminergic action# MEMANTINE is a noncompetitive NMDA receptor antagonist first used as an anti-influenza agent.> Memantine acts on the glutamatergic system by blocking NMDA receptors and inhibiting their overstimulation by glutamate.> Memantine has been shown to be moderately efficacious in the treatment of moderate to severe Alzheimer's disease. Its effects in the initial stages of AD are unknown. Adverse events with memantine are infrequent and mild, including hallucinations, confusion, dizziness, headache and fatigue.